A young patient presents with enlargement of costocondral junction and with the white line of fraenkel at the metaphysis. The diagnosis is-
1. Scurvy
2. Rickets
3. Hyperparathyroidism
4. Osteomalacia

Correct answer: 1. Scurvy

Explanation: *Enlargement of costochondral junction and white line of Frankel are seen both in scurvy and rickets. *However, best answer here is scurvy as white line frankel is seen in healing rickets, not in active rickets. And rickets refers to active disease. ref : maheswari 9th ed